Multiple painful bleeding ulcers with inguinal bubo is seen with
1. Chancre
2. Granuloma inguinale
3. Lymphogranuloma Venerum
4. Chancroid

Correct answer: 4. Chancroid

Explanation: Ans. (D) Chancroid